Which of the following regarding Maternal Mortality Rate (MMR) is not true:
1. Numerator includes total number of female deaths within 42 days of delivery
2. Denominator includes still births and abortions
3. It is actually expressed as a ratio and not rate
4. It is most common indicator for obstetric care

Correct answer: 2. Denominator includes still births and abortions